Intermittent painless uterine contractions which the mother is unaware, from 4th month of pregnancy is termed as
1. Jacquemier's sign
2. Quickening
3. Palmer's sign
4. Braxton Hick's sign

Correct answer: 4. Braxton Hick's sign

Explanation: Braxton-Hick's sign The intermittent painless uterine contractions, occur once in 10-15 minutes, of which the woman is unaware. This can be felt on abdominal palpation from 4th month onwards. It is present even when the fetus is dead. Ref: FORENSIC MEDICINE AND TOXICOLOGY Dr PC IGNATIUS THIRD EDITION PAGE 330